Galactokinesis means :
1. Sustaining lactation
2. Secretion of milk
3. Ejection of milk
4. Synthesis of milk

Correct answer: 3. Ejection of milk

Explanation: Ejection of milk